Organism causing ulcus serpens is:
1. Neisseria gonorrhoeae
2. Corynebacterium diphtheria
3. Pneumococcus
4. Pseudomonas pyocyaneus

Correct answer: 3. Pneumococcus

Explanation: Ulcer serpens is caused by pneumococcus. Ulcer Serpens Greyish white ulcer Organism: Pneumococcus Usually associated with iridocyclitis Starts from periphery and then moves towards centre Has a tendency for perforation May be a/w hypopyon